All are seen in acromegaly except
1. Kyphosis
2. Anterior scalloping of vertebrae
3. Chondrocalcinosis
4. Calcification of pinna

Correct answer: 2. Anterior scalloping of vertebrae

Explanation: Ans b (Anterior scalloping of vertebrae)Ref: Wolfgang Dahnut: Radiology Review ManualAcromegalyEtiology: Excess growth hormone due to eosinophilic adenoma/hyperplasia in anterior pituitary.Gigantism in children: Advanced bone age + excessive height(i) Hand: Spade like hand - widening of terminal tufts (Arrow head appearance)(ii) Skull: Prognathism Sella enlargement and erosion Large frontal sinuses Calvarial hyperostosis (especially inner table) Enlarged occipital protuberance(iii) Soft tissue:Heel pad thickness more than 25 mm(iv) Vertebrae:Posterior scalloping in 30% cases (Secondary to pressure of enlarged soft tissues)Anterior new boneLoss of disc space (due to weakening of cartilage)(v) Joints:Premature osteoarthritis (Commonly knees)Widened joint spaces especially the metacarpophalangeal joints due to cartilage hypertrophy,(vi) Chondrocalcinosis